CA-125 is a marker antigen for the diagnosis of:
1. Colon cancer
2. Breast cancer
3. Brain cancer
4. Ovarian cancer

Correct answer: 4. Ovarian cancer

Explanation: CA 125 is a tumor marker for ovarian epithelial cancers ( high molecular weight glycoprotein(220 to 1000kd) CA 125 can also be high in cancers of the endometrium, fallopian tubes, lungs, breast and gastrointestinal tract. endometriosis several diseases of the ovary pregnancy adenomyosis fibroids liver disease pancreatitis peritonitis luteal phase of the menstrual cycle.